Which is a normal finding in cystometry
1. Absence of systolic detrussor contraction
2. Residual volume of 75 ml
3. Leakage on coughing
4. First sensation of urination at 300 ml

Correct answer: 1. Absence of systolic detrussor contraction